True about cornea:
1. Power is 43 D
2. Majority of refraction occur at air-tear interface
3. With the rule astigmatism is present because vertical meridian more sleep than horizontal meridian
4. All

Correct answer: 4. All

Explanation: Ans. All A, B and C